Bence - Jones are laboratory finding of
1. Paget's disease
2. Multiple myeloma
3. Malignant melanoma
4. Fibrous dysplasia

Correct answer: 2. Multiple myeloma